True regarding Kaposi's sarcoma is all except
1. May occur even in the presence of a normal CD4+ T cell count
2. HHV8 has been strongly implicated as a cofactor in the pathogenesis
3. Koebner's Phenomenon may be seen
4. Lymph node involvement suggests worst prognosis

Correct answer: 4. Lymph node involvement suggests worst prognosis

Explanation: In contrast to most malignancies, in which lymph node involvement implies metastatic spread and a poor prognosis, lymph node involvement may be seen very early in KS and is of no special clinical significance. Kaposi sarcoma causes lesions to grow in the skin, lymph nodes, internal organs and mucous membranes lining the mouth, nose and throat. It often affects people with immune deficiencies, such as HIV or AIDS. Ref Robbins 9/e pg 234